Space of Disse is in:
1. Spleen
2. Lymph node
3. Liver
4. Bone

Correct answer: 3. Liver

Explanation: Ans. C. LiverThe perisinusoidal space (or space of Disse) is a location in the liver between a hepatocyte and a sinusoid. It contains the blood plasma.Microvilli of hepatocytes extend into this space, allowing proteins and other plasma components from the sinusoids to be absorbed by the hepatocytes.